Positive nitrogen balance is seen in
1. Malignancy
2. Pregnancy
3. Uncontrolled Diabetes mellitus
4. Burns

Correct answer: 2. Pregnancy